In Mafan's syndrome lesn dislocation is commonly seen -
1. Upwards
2. Downwards
3. Supero-temporally
4. Nasually

Correct answer: 3. Supero-temporally

Explanation: In Marfan syndrome there is superolateral (superotemporal) dislocation of lens. (Ref: Khurana 7th/e p.222 & 4th/e p.202)